Marker for ovarian cancer is
1. CA 125
2. Ca 19 - 19
3. Ca 15 - 5
4. Hypercalcemia

Correct answer: 1. CA 125

Explanation: CA 125